Unpaired laryngeal cartilage-
1. Arytenoid
2. Corniculate
3. Cuneiform
4. Epiglottis

Correct answer: 4. Epiglottis

Explanation: Ans. is 'd' i.e., Epiglottis o The skeletal supports of larynx is provided by Six cartilages, 3 out of which are paired (so there are total 9 cartilages). i) Unpaired Thyroid, cricoid, epiglottis. ii) PairedArytenoid, Corniculate, cuneiform.